Which of the following pharyngeal arch give rise to epiglottis in embryological life?
1. 1st pharyngeal arch
2. 2nd pharyngeal arch
3. 3rd pharyngeal arch
4. 4th pharyngeal arch

Correct answer: 4. 4th pharyngeal arch

Explanation: The hypobranchial eminence, derived from the bases of the third and fourth pharyngeal arches, forms the epiglottis. Pharyngeal and laryngeal muscles, laryngeal skeleton, cranial nerve X are derived from fourth and sixth pharyngeal arches.Ref: A Textbook of Neuroanatomy By Maria Patestas, Leslie P. Gartner, 2009, Page 16.